The following are rheumatoid disease modifying drugs except:
1. Chloroquine
2. Gold
3. Penicillamine
4. BAL

Correct answer: 4. BAL

Explanation: Answer is D (BAL) DMARDs: include agents that appear to have the capacity to alter the course of Rheumatoid Arthritis. This includes: DMARDs Methotrexate2 Gold compoundsQ D-Penicillamine Anti-malarials eg. Chloroquines2 Sulfasalazine